Most common catheter induced blood infection is due to -
1. Staphylococcus aureus
2. Coagulase negative staphylococci
3. Gram negative bacilli
4. Candida

Correct answer: 2. Coagulase negative staphylococci